Which is not a branch of the anterior division of internal iliac artery -
1. Inferior vesical
2. Internal pudendal
3. Ilio lumbar
4. Inferior gluteal

Correct answer: 3. Ilio lumbar

Explanation: Ans. is 'c' i.e., Iliolumbar o Branches of anterior division of internal iliac artery are : (i) Superior vesical, (ii) Middle rectal, (iii) Inferior vesical (in males), (iv) Internal pudendal, (v) Vaginal (in females), (vi) Uterine (in females), (vii) Obturator, and (viii) Inferior glutealo Branches of posterior division are : (i) Iliolumbar, (ii) Lateral sacral, and (iii) Superior gluteal.